Tumours associated with primary aldosteronism -a) Adrenal adenomab) Adrenal hyperplasiac) Von Hippel-Lindau syndromed) Adrenal carcinoma
1. acd
2. bcd
3. abd
4. ab

Correct answer: 3. abd